All of the following are used to improve attention deficit in children except -
1. Cognitive enhancement therapy
2. Cognitive behavioural therapy
3. Cognitive remeditation therapy
4. Flooding

Correct answer: 4. Flooding

Explanation: Ans. is 'd' i.e., Floodingo In attentention deficit following can be used :Cognitive enhancement therapy (also called cognitive remeditation therapy)Cognitive behavioral therapyClinical behavior therapyDirect contingency managementIntensive, packaged behavioral treatment